Which of the following is FALSE about insulin action?
1. Glycogen synthesis
2. Glycolysis
3. Lipognesis
4. Ketogenesis

Correct answer: 4. Ketogenesis

Explanation: Insulin inhibits lipolysis by inhibiting hormone sensitive lipase. Thus insulin prevents ketogenesis. Insulin stimulates glycolysis by activating PFK-1 Insulin activates glycogenesis by activating glycogen synthase. Also it stimulates fatty acid synthesis by activating acetyl Co A carboxylase. Insulin also--by its ability to depress the level of intracellular cAMP--inhibits lipolysis in adipose tissue reducing the concentration of plasma-free fatty acids and, therefore, long-chain acyl-CoA, which are inhibitors of lipogenesis. Ref: Botham K.M., Mayes P.A. (2011). Chapter 23. Biosynthesis of Fatty Acids & Eicosanoids. In D.A. Bender, K.M. Botham, P.A. Weil, P.J. Kennelly, R.K. Murray, V.W. Rodwell (Eds), Harper's Illustrated Biochemistry, 29e